Communicability of disease is assessed by means of:
1. Secondary attack rate
2. Generation time
3. Serial interval
4. Incubation period

Correct answer: 1. Secondary attack rate

Explanation: Secondary attack rate